Which among the following has least HU units?
1. Acute Bleed
2. Contrast agents
3. Fat
4. Air

Correct answer: 4. Air

Explanation: Air has the least HU Cortical Bone +400 to +1000 Calcifications +200 to +250 Contrast agents +130 Hurt Acute Bleed +60 to +70 Hurt CSF/Water 0 Fat - 50 to -100 Hurt AIR -1000 Hurt